True about vibrio vulnificus ?
1. Causes diarrhea commonly
2. Halophilic
3. Drug of choice is penicillin
4. Produces shiga toxin

Correct answer: 2. Halophilic

Explanation: Ans. is 'b i.e., Halophilic V. Vulnificus V. vulnificus is a halophilic vibrio. It has been linked to two distinct syndrome.